The population covered by each of the following is 1000, EXCEPT:
1. ASHA worker
2. Anganwadi worker
3. Sub centre
4. Village health guide

Correct answer: 3. Sub centre

Explanation: The sub centre is the peripheral outpost of rural health care system. A sub centre is established for every 5000 population in general. In cases of hilly, tribal or backward areas, a sub centre is established for every 3000 population. Ref: Park 21st edition page: 839.